Posterior limb of internal capsule is supplied by all except
1. Middle cerebral artery
2. Recurrent artery of Heubner
3. Anterior choroidal
4. Posterior cerebral artery

Correct answer: 2. Recurrent artery of Heubner

Explanation: Recurrent artery of Heubner does not supply posterior limb of internal capsule. Blood supply of internal capsule Anterior Limb Recurrent artery of Heubner Genu Recurrent artery of Heubner Charcot's artery (lenticulostriate artery or artery of cerebral hemorrhage) Posterior limb Charcot's artery (branch of middle cerebral artery) Anterior choroidal artery (branch of internal carotid artery) Posterolateral branches of posterior cerebral artery. Sublentiform part Anterior choroidal artery Posterior cerebral artery Retrolentiiform part Posterolateral branches of posterior cerebral artery Ref: Gray's Anatomy 41st edition Pgno: 286